Lacrimal gland is supplied through parasympathetic system. It is supplied by which ganglion?
1. Ciliary ganglia
2. Otic ganglia
3. Pterygopalatine
4. Submandibular

Correct answer: 3. Pterygopalatine

Explanation: Nerve Supply of Lacrimal Gland Sensory Supply: lacrimal nerve Sympathetic supply: Carotid plexus of cervical sympathetic chain Secretomotor fibres: Salivary nucleus -----> greater petrosal nerve ----> synapse at pterygopalatine ganglion ----> zygomatic nerve ----> lacrimal nerve-----> lacrimal gland